Quinine is obtained from CINCHONA
1. Root
2. Bark
3. Leaves
4. Seed capsule

Correct answer: 2. Bark